All of the following are disruptive, impulse control and conduct disorders except:
1. Munchausen syndrome
2. Conduct disorder
3. Intermittent explosive disorder
4. Oppositional disorder

Correct answer: 1. Munchausen syndrome

Explanation: Five conditions comprise the category of disruptive, impulse-control, and conduct disorders. They include two that are associated with childhood: (1) oppositional defiant disorder and (2) conduct disorder. The remaining three disorders are intermittent explosive disorder, kleptomania, and pyromania* Each disorder is characterized by the inability to resist an intense impulse, drive, or temptation to perform a particular act that is obviously harmful to self or others, or both.* Before the event, the individual usually experiences mounting tension and arousal. Completing the action brings immediate gratification and relief (1) Oppositional defiant disorder - Symptoms include anger, irritability, defiance, and refusal to comply with regulations.(2) Conduct disorder - characterized by fighting and bullying(3) Intermittent explosive disorder - uncontrolled outbursts of aggression.(4) Kleptomania - repeated stealing(5) Pyromania- putting thing on fire